Antidote for alprazolam is:-
1. Protamine sulphate
2. Flumazenil
3. EDTA
4. BAL

Correct answer: 2. Flumazenil

Explanation: Alprazolam is Benzodiazepine Antidote for benzodiazepine is Flumazenil Protamine sulfate is antidote for Heparin EDTA can be used as antidote for (calcium salt of EDTA) ca in milk Manganese poisoning Iron poisoning Lead poisoning Cadmium poisoning Bal is used as antidote in - Bismuth poisoning Arsenic poisoning Lead poisoning